Antiviral agent of choice in a child with bronchiolitis?
1. Vidarbin
2. Ribavirin
3. Acyclovir
4. Amantadine

Correct answer: 2. Ribavirin

Explanation: Ans. is 'b' i.e., Ribavirin Ribiavirin is the standard treatment for RSV bronchiolitis in infants and children.